The earliest discovery of a pathogenic microorganism was made by
1. Augustino Bassi
2. Pollender
3. Oliver Wendell
4. Louis pasteur

Correct answer: 1. Augustino Bassi

Explanation: The earliest discovery of a pathogenic microorganism was probably made by Augustino Bassi(1835), showed that the muscardine disease of silkworms was caused by a fungus.Ref: Ananthanarayan; 7th edition; Page no: 1